A disease seen in excess of normal in a community results in:
1. Epidemic
2. Endemic
3. Pandemic
4. Endozootic

Correct answer: 1. Epidemic